Vena comitans
1. Veins accompanying nerves
2. Veins accompanying lymph vessels
3. Veins accompanying arteries
4. Veins accompanying veins

Correct answer: 3. Veins accompanying arteries

Explanation: Vena comitans are the Veins accompanying arteries. Vena comitans is a vein that is usually paired, with both veins lying on the sides of an artery. They are found in close proximity to arteries so that the pulsations of the artery aid venous return.